Transport of glucose through apical membrane of enterocytes is ?
1. Simple diffusion
2. Facilitated diffusion
3. Primary active transport
4. Secondary active transport

Correct answer: 4. Secondary active transport

Explanation: Ans. is'd'i.e., Secondary active transport(Ref: Principles of medical physiology p. 789)Absorption of glucose - Secondary active transport (cotransport) with Na+Absorption of lipids - Passive diffusion.Absorption of fructose - Facilitated Diffusion.Absorption of amino-acids -Secondary active transport (cotransport) with Na+.